Example of IgA nephropathy is -
1. Henoch Schonlein purpura
2. Minimal Change Glomerulonephritis
3. Good Pasture's syndrome
4. Wegener's granulomatosis

Correct answer: 1. Henoch Schonlein purpura

Explanation: Ans. is 'a' i.e., Henoch Schonlein purpura o There is deposion of IgA, sometimes with IgG and C3, in the mesangial region in HSP.o IgA is deposited in the glomerular mesangium in a distribution similar to that of IgA nephropathy. This has led to the concept that IgA nephropathy and Henoch-Schonlein purpura are spectra of the same disease.